The common site of glomangioma is
1. Head & neck
2. Chest wall
3. Nail bed
4. Retroperitoneal

Correct answer: 3. Nail bed